An adolescent female has headache which is intermittent in episode in associated with tinnitus, vertigo and hearing loss. There is history of similar complains in her mother. Most likely diagnosis -
1. Basilar migraine
2. Cervical spondylosis
3. Temporal arteritis
4. Vestibular neuronitis

Correct answer: 1. Basilar migraine